E antigen (HBeAg) of hepatitis B virus is a product of which gene
1. S
2. C
3. p
4. x

Correct answer: 2. C

Explanation: Ans. is 'b' i.e., C Genes & gene products The genome of HBV is made of circular DNA, but it is unusual because the DNA is not fully double stranded --> one of the strands is incomplete and other is complete - partially double stranded DNA. There are four known genes encoded by genome --> 'C' , X', `P' ,'S'.